Which of the following condition(s) are associated with raised ANCA except -
1. Wegener's granulomatosis
2. Polyarteritis Nodosa
3. Microscopic Polyangitis
4. Churg-Strauss syndrome

Correct answer: 2. Polyarteritis Nodosa

Explanation: Ans. is 'b' i.e., Polyarteritis Nodosa